IPC section for punishment for purjury is
1. 191
2. 192
3. 193
4. 197

Correct answer: 3. 193

Explanation: Punishment for perjury is dealt under IPC 193 IPC 191-deals with perjury IPC 192-fabricating false evidence IPC 197-issuing or signaling false evidence Refer :textbook of Forensic Medicine and toxicology PG no 15,2nd edition